The following is a diploid cell strain
1. Rhesus monkey kidney cell culture
2. heLa
3. Human embryonic lung cell strain
4. Mccoy

Correct answer: 3. Human embryonic lung cell strain

Explanation: HL-8 (Rhesus embryo cell strain ) and WI-38 (human embryonic lung cell strain) are diploid cell lines Primary cell strains include- chick embryo fibroblast cell culture, human amnion cell culture etc Ref: Baveja 5th ed Pg: 417